Ito cells contain:
1. Vitamin A
2. Vitamin C
3. Vitamin D
4. None of the above

Correct answer: 1. Vitamin A

Explanation: Hepatic stellate cells are also known as perisinusoidallipocytes or Ito cells and are much less numerous than hepatocytes. These cells secrete most of the intralobular matrix components, including collagen type III (reticular) fibres. They store the fat-soluble vitamin A in their lipid droplets and are a significant source of growth factors active in liver homeostasis and regeneration.